All of the following are bullous lesions except -
1. Pemphigus vulgaris
2. Dermatitis herpetiformis
3. Atopic dermatitis
4. Pemphigoid

Correct answer: 3. Atopic dermatitis

Explanation: Primary blistering disorder

Intraepidermal → Pemphigus vulgaris, P. foliaceous, P. vegetans, P. erythematosus.
Subepidermal → Bullous pemphigoid, Dermatitis herpe4formis, Epidermolysis bullosa acquisita.